Under Vision 2020, to check visual acuity, teacher will refer school child to
1. Service centre
2. Training centre
3. Centre for excellence
4. Vision centre

Correct answer: 4. Vision centre

Explanation: Under Vision 2020, to check visual acuity, teacher will refer school child to Vision Centre Vision 2020 Right to Sight Major aim - eliminate avoidable blindness by 2020. They are Global India 1. Cataract 1. Cataract 2. RE + Low vision 2. RE + Low vision 3. Childhood blindness 3. Childhood blindness 4. Trachoma 4. Trachoma 5. Onchocerciasis (not present in India) 5. Diabetic Retinopathy 6. Glaucoma 7. Corneal Blindness Number of Authorised bodies Population Norms 2 (APEX) 1/500 million 20 (Centre of Excellence) 1/50 million 200 (Training Centre) 1/5 million 2000 (Service Centre) 1/500000 20000 (Vision Centre) 1/50000 Rajendra prasad institute of Ophthalmic sciences, AIIMS, Delhi: Services offered at Vision centre - vision testing - PMOA Service centre - cataract surgery - ophthalmologist Training centre - Training - opthal department of medical college